Which of the following sensations is most affected by cortical lesions?
1. Proprioception
2. Temperature
3. Itch
4. Crude touch

Correct answer: 1. Proprioception

Explanation: The position senses are frequently also called proprio- ceptive senses. They can be divided into two subtypes: (1) static position sense, which means conscious percep- tion of the orientation of the different parts of the body with respect to one another, and (2) rate of movement sense, also called kinesthesia or dynamic proprioception. Proprioception is most effected by the cortical lesion Ref: guyton and hall textbook of medical physiology 12 edition page number:580,581